The gene that regulates normal morphogenesis during development is:
1. FMR-1 gene
2. Homeobox gene
3. P-16
4. PTEN

Correct answer: 2. Homeobox gene

Explanation: HOX gene( Homeobox gene). Normal morphogenesis during development include Implicated in the patterning of limbs, vertebrae, and craniofacial structures. Possess retinoic acid response elements(RAREs)- Required for mediating both physiologic and pathologic effects of retinoids Mutations of HOXD13 cause synpolydactylyin heterozygous individuals mutations of HOXA13 cause Hand-foot-genital syndrome,